Composition of Nova - T:
1. Copper and silver
2. Copper and aluminium
3. Copper only
4. Copper and selenium

Correct answer: 1. Copper and silver

Explanation: Nova-T is nothing but Cu-T, where silver is added to the copper wire thereby increasing lifespan of Cu-T from 3 years to 5 years in Nova-T.